Gluteraldehyde is used to sterilize -
1. Endoscopes
2. Corrugated rubber anaesthetic tube
3. Plastic endotracheal tubes
4. All of the above

Correct answer: 4. All of the above

Explanation: Ans. is 'd' i.e., All of the aboveo 2% Glutaradehyde (cidex) is an aldehyde disinfectant with a broad spectrum of action against bacteria, fungi, viruses, as well as spores (slow action)o It is most often used for equipment such as endoscopes that cannot be sterilized or disinfected by heat (cytoscopes bronchoscopes)o Glutraldehyde is used for -i) Cystoscopes and bronchoscopesii) Corrgated rubber anaesthetic tubesiii) Face masksiv) Plastic endotracheal tubesv) Polythene tubingvi) Endoscopes